Influenza virus belongs to family ?
1. Picornaviridae
2. Calciviridae
3. Orthomyxoviridae
4. Paramyxoviridae

Correct answer: 3. Orthomyxoviridae

Explanation: Ans. is 'c' i.e., Orthomyxoviridae